Not seen in osteogenesis imperfecta
1. Wormian bones
2. Thick cortex
3. Coxa vara
4. Saber shin

Correct answer: 2. Thick cortex

Explanation: - Osteogenesis imperfecta is a type- 1 collagen defect which affects the tensile strength of the bone.it most commonly occurs in femur. It leads to weakening of bones. - Thin cortex is the hallmark for osteogenesis imperfecta. - Deformities occurring in osteogenesis imperfecta includes saber shin (bowing), Coxa vara (decreased neck- shaft angle of femur) and Wormian bones (short, dot- like). - Wormian bones are also found in down syndrome, osteogenesis imperfecta, trisomy and skeletal dysplasia